Which of the following is the cause of sudden and unexpected onset of dyspnea at rest:
1. Severe anemia
2. Spontaneous pneumothorax
3. COPD
4. Large pleural effusion

Correct answer: 2. Spontaneous pneumothorax

Explanation: Ans. B: Spontaneous pneumothorax Sudden and unexpected dyspneic episodes at rest can be associated with pulmonary emboli, spontaneous pneumothorax, hypercapnea secondary to breath holding, or anxiety Pneumothorax: Presence of gas in pleural space Sudden dyspnea followed by cough and chest pain is seen Primary Spontaneous pneumothorax: occurs without antecedent history of trauma to thorax Common in males/ smokers - Rupture of subpleural bleb is a common cause Secondary spontaneous pneumothorax occurs in presence of underlying lung pathology A traumatic pneumothorax results from penetrating or non-penetrating injury Intrapleural pressure is equal to atmospheric pressure in open pneumothorax